Hagemann factor is involved in:
1. Extrinsic pathway
2. Intrinsic pathway
3. Fibrinolysis
4. None

Correct answer: 2. Intrinsic pathway

Explanation: Ans. B: Intrinsic pathway Hageman factor is factor XII, also known as glass factor. The initial reaction in the intrinsic system is conversion of inactive factor XII to active factor XII (XIIa). This activation, which is catalyzed by high-molecular-weight kininogen and kallikrein, can be brought about in vitro by exposing the blood to electronegatively charged wettable surfaces such as glass and collagen fibers. Activation in vivo occurs when blood is exposed to the collagen fibers underlying the endothelium in the blood vessels. Active factor XII then activates factor XI, and active factor XI activates factor IX. Activated factor IX forms a complex with active factor VIII, which is activated when it is separated from von Willebrand factor. The complex of IXa and VIIIa activate factor X. Phospholipids from aggregated platelets (PL) and Ca2+ are necessary for full activation of factor X.